Episodic muscle weakness is seen in all of the following EXCEPT:
1. Eaton lambert syndrome
2. Hypokalemia
3. Hyperglycemia
4. Hypercalcemia

Correct answer: 3. Hyperglycemia

Explanation: Cause of Episodic Muscle Weakness : Hypokalemia Hyperkalemia Hyponatremia utilization by muscle Hypernatremia Hypophosphatemia Hypercalcemia Hypermagnesemia Multiple sclerosis Myasthenia gravis Lambert Eaton syndrome Transient ischemic attacks